Which of the following is not found in Odontoblastic layer of the pulp
1. Type 1 collagen
2. Type 3 collagen
3. Phosphoryn
4. Acid Phophatase

Correct answer: 2. Type 3 collagen